RDA cover of nutrient requirement of-
1. 50% of individuals
2. 75% of individuals
3. 98% of individuals
4. Same as adequate intake

Correct answer: 3. 98% of individuals

Explanation: Ans. is 'c' i.e., 98% of individuals Recommended Dietary allowance (RDA) o Also know as recommended daily allowance. o The RDA is the average daily dietary intake level that is sufficient to meet the nutrient requirments of nearly all (97 to 98%) individuals in a life stage and gender group. o The RDA applies to individuals, not to groups. o The estimated average requirement (EAR) serves as the foundation for setting RDA. If the standard deviation (SD) of the EAR is available and the requirement for the nutrient is normally distributed, the RDA is set at 2 SDs above the EAR. RDA EAR 4- 2 SDFAR Adequate intake (AD o The adequate intake is set instead of an RDA if sufficient scientific evidence is not available to calculate an EAR. o The AI is based on observed or experimentally determined estimates of average nutrient intake by a group (or groups) of healthy people. o For example. the "adequate intake" for young infants for whom human milk is the recommended sole source of food for the first 4 to 6 months, is based on the estimated daily mean nutrient intake supplied by human milk for healthy, full term infants who are exclusively breastfed. RIM Vs Adequate intakes (Al) Although RDA and Al are used for the same purpose - setting goals for intake by individuals - The RDA differs from the Al. RDA is expected to meet the needs of 97 to 98% of the individuals, while it is not known what percentage of individuals arc covered by the adequate intake. o The adequate intake does not bear a consistent relationship to the EAR or the RDA because it is set without being able to estimate the average requirement. It is assumed that adequate intake is at or above the RDA if one could be calculated. o The adequate intake for a nutrient is expected to exceed the average requirement for that nutrient, and it should cover the needs for more than 98% of the individuals, but it might cover the needs of far fewer. o The degree to which adequate intake exceeds the average requirements is likely to differ among nutrients and population groups. For people with diseases that increases requirements or who have other special health needs, the RDA and adequate intake may serve as the basis for adjusting individual recommendations, qualified health professionals should adapt the recommended intake to cover the higher or lower needs. Tolerable upper intake level (UL) : - The highest average daily nutrient intake level that is likely to pose no risk of adverse health effects for almost all individuals in the general population. As intake increases above UL, the potential risk of adverse effect increases.